Reflex which is not present in a child at birth is?
1. Moro's reflex
2. Symmetric tonic neck reflex
3. Crossed extensor reflex
4. Asymmetric tonic neck reflex

Correct answer: 2. Symmetric tonic neck reflex

Explanation: Important Neonatal reflexes appearing after birth are parachute reflex & symmetric Tonic Neck reflex.